Air travel in pregnancy is not recommended after What gestational age
1. 12 Weeks
2. 22 Weeks
3. 30 Weeks
4. 36 Weeks

Correct answer: 4. 36 Weeks

Explanation: According to ACOG guidelines, pregnant women can safely fly upto 36 weeks gestation.